All of the following are mechanisms of action of emergency contraception, EXCEPT:
1. Delaying ovulation
2. Inhibiting fertilization
3. Interrupting early pregnancy
4. Preventing implantation of fertilized egg

Correct answer: 3. Interrupting early pregnancy

Explanation: Mechanism of action of emergency contraception or post coital contraception includes : prevention or producing a delay of ovulation by taking the drug in the beginning of cycle, interfering with the process of fertilization, prevention of implantation by rendering the endometrium unfavorable and by interfering with the function of corpus luteum. Ref: Textbook of Obstetrics By D.C. Dutta, 6th Edition, Page 549